All of the following are cause of blood in stools in children except -
1. Meckels diverticulum
2. Carcinoma
3. Intussusception
4. Juvenile polyp

Correct answer: 2. Carcinoma

Explanation: Ans. is 'b' i.e., Carcinoma